True about interferon -
1. It is virus specific
2. It is Bacteria specific
3. Produced from Bacteria
4. Effective against viral infection

Correct answer: 4. Effective against viral infection

Explanation: a virus-infected cell will release interferons causing nearby cells to heighten their anti-viral defenses. Reff: Anantharayan & Panikers textbook f microbiology 9th edition pg:155